Which of these does not undergo division:
1. Spermatoid
2. Primary spermatocyte
3. Secondary spermatocyte
4. Spermatogonia

Correct answer: 1. Spermatoid

Explanation: Spermatoid